Which of the following dentinal layers is more mineralized
1. Peritubular dentin
2. Inter tubular dentin
3. Dentinal tubules
4. Circum pulpal dentin

Correct answer: 1. Peritubular dentin